Not true about right bronchus when compared to left bronchus
1. Shorter
2. Wider
3. More horizontal
4. In the line of trachea

Correct answer: 3. More horizontal

Explanation: Right bronchus is shorter,wider and more in line with the trachea B D CHAURASIA'S HUMAN ANATOMY UPPER LIMB THORAX-VOLUME-1 SIXTH EDITION-Page no-239